False Negative Hydrostatic test in a live born foetus may be seen in:
1. Atelectasis
2. Artificial Respiration
3. Emphysema
4. Putrefaction

Correct answer: 1. Atelectasis

Explanation: The hydrostatic test is false negative (the expanded lungs may sink) due to atelectasis, diseases like acute oedema, pneumonia, congenital syphilis, etc. Ref: The Essentials of Forensic Medicine and Toxicology By Narayan Reddy, 27th Edition, Page 384